Ligamentum teres of the liver is a remnant of ________
1. Umbilical arteries
2. Umbilical vein
3. Ductus venosus
4. Ductus arteriosus

Correct answer: 2. Umbilical vein

Explanation: Ligamentum teres is a remnant of the umbilical vein. The vessels that are occluded soon after birth are in due to course replaced by fibrous tissue and forms the following ligaments: Fetal structure Adult structure Foramen ovale Fossa ovalis Umbilical vein Ligamentum teres Ductus venosus Ligamentum venosum Umbilical arteries Medial umbilical ligaments Ductus arteriosus Ligamentum arteriosum Note: the median umbilical ligament or Xander's ligament represents the remnant of the embryonic urachus The lateral umbilical ligaments are folds of peritoneum over the inferior epigastric arteries Ref: Nelson textbook of pediatrics 21st edition Pgno: 975